All the following factors predispose to Aortic dissection , except
1. Systemic hypertension
2. Takayasu's arteritis
3. 1 at trimester of pregnancy
4. Marfan's syndrome

Correct answer: 3. 1 at trimester of pregnancy

Explanation: Ref Harrison 19 th ed pg 1541 Aortic dissection is the major cause of morbidity and mortality in patients with Marfan's syndrome or Loeys- Dietz syndrome, and similarly may affect patients with Ehlers-Danlos syndrome. The incidence also is increased in patients with inflamma- tory aortitis (i.e., Takayasu's arteritis, giant cell arteritis), congenital aortic valve anomalies (e.g., bicuspid valve), coarctation of the aorta, and a history of aortic trauma. In addition, the risk of dissection is increased in otherwise normal women during the third trimester of pregnancy. Aortic dissection also may occur as a consequence of weight lifting, cocaine use, or deceleration injury.